Cock's peculiar tumor is
1. Basal cell CA
2. Squamous cell CA
3. Ulcerated sebaceous cyst
4. Cylindroma

Correct answer: 3. Ulcerated sebaceous cyst

Explanation: .cocks peculiar tumour is actually a complication of sebaceous cyst when sebaceous cyst ulcerates excessive granulation tissue forms resembling fungating epithelioma and this iscalled cock's peculiar tumour